When an association between two variable is explained by a third variable due to indirect association. It is called as?
1. Cognitive bias
2. Confounding bias
3. Berkessonian bias
4. Indirect bias

Correct answer: 2. Confounding bias

Explanation: .confounding bias is used as a third variable to explain the association between two variables caused due to indirect association ref:park's textbook of preventive and social medicine,22nd edition,pg no 71